Lymphohistiocytic variant of Reed Sternberg cell is seen in which of the following?
1. Lymphocyte rich HL
2. Lymphocyte predominant HL
3. Nodular sclerosis HL
4. Mixed cellularity HL

Correct answer: 2. Lymphocyte predominant HL

Explanation: L-H type of Reid Steinberg (RS cell) - Non classical variant of HL (CD15-ve, CD30-ve) Lymphocyte predominant HL - best prognosis Nodular sclerosis HL - lacunar R-S cell (common subtype all around the world) Lymphocyte predominance type expresses B cell markers and is not associated with EBV